Nontoxic form of storage and transportation of ammonia:
1. Aspartic acid
2. Glutamic acid
3. Glutamine
4. Glutamate

Correct answer: 3. Glutamine

Explanation: Ans. C. GlutamineTransport form of Ammonia from most tissues is Glutamine.The enzyme responsible is called Glutamine Synthetase.Belong to Ligase class.Require ATP